Apex elevator utilizes which principle?
1. Wedge
2. Pulley
3. Wheel and axle
4. none of the above

Correct answer: 1. Wedge